A young adult presents with proximal weakness of upper limbs, features of facial palsy and winging of scapula. The most likely diagnosis is:
1. Facio-Scapulo-Humeral Dystrophy
2. Limb-Girdle Dystrophy
3. Scapuloperoneal Dystrophy
4. Duchene Muscular Dystrophy

Correct answer: 1. Facio-Scapulo-Humeral Dystrophy

Explanation: Answer is A (Facio-Scapulo-Humeral Dystrophy): Weakness preferentially affecting the facial and shoulder girdle (proximal weakness of upper limb) together with winging of scapula in a young adult suggests a diagnosis of facio-scapulo-humeral dystrophy. Autosomal Dominant (Positive Family History(2) Abnormal gene 4q (4q35 deletion) Childhood to young adulthood (may be delayed to 5th decade) Mild 1st CPK (Normal Dystrophy)